Most common cause of Foley catheter induced UTI
1. E. coli
2. Klebsiella
3. Pseudomonas
4. Staphylococci

Correct answer: 1. E. coli

Explanation: Ans. (a) E. coliRef Bailey and Love 26th Edition, Page 276* Urinary infection is the most commonly associated infection in postoperative period* Most common organism isolated in catheter related Infections: E. coli